A 50-year-old patient with ischemic heart disease develops chest pain. ECG shows ST segment elevation and Q waves. Myocardial necrosis in this patient can be best demonstrated by:
1. Technetium 99 tetrofosmin
2. Sestambi scan
3. Technetium 99 Pyrophosphate
4. Thallium 201

Correct answer: 3. Technetium 99 Pyrophosphate

Explanation: Myocardial infarct imaging: Tc99m pyrophosphate is used to localize the area of infarct in heart. Area of infarct On thallium scan (Perfusion image) Cold spot Pyrophosphate scan (Infarct image) Hot spot